Most common metabolite of progesterone excreted in urine is _________
1. Pregnanelone
2. Pregnanetriol
3. 17-hydroxy pregnanolone
4. Pregnanediol

Correct answer: 4. Pregnanediol

Explanation: Pregnanediol is an inactive metabolic product of progesterone. A test can be done to measure the amount of pregnanediol in urine, which offers an indirect way to measure progesterone levels in the body. The principal pathway of the metabolism of progesterone is believed to be progesterone - pregnanedione - pregnanolone - pregnanediol, although small amounts of the corresponding allopregnane compounds are formed.